After delivery, Caput succedenum disappears -
1. Within 24-48 hours
2. 3-5 days
3. 5-7 days
4. 7-10 days

Correct answer: 1. Within 24-48 hours

Explanation: Ans. is 'a' i.e., Within 24-48 hours * Caput succedaneum is a neonatal condition involving a serus, subcutaneous, extraperiosteal fluid collection with poorly defined margins caused by the pressure of the presenting part of the scalp against the dilating cervix (tourniquet effect of the cervix) during delivery.* Caput succedaneum presents as a scalp swelling that extends across the midline and over suture lines and is associated with head molding. Caput succedaneum does not usually cause complications and usually resolves within 24-48 hours.